Combination of retinitis pigmentosa and ichthyosis is seen in –
1. Netherton syndrome
2. Refsum's syndrome
3. Down's syndrome
4. Mob's syndrome

Correct answer: 2. Refsum's syndrome

Explanation: Refsum disease is characterized by ataxia, ichthyosis, cardiomyopathy, retinitis pigmentosa and absent tendon reflexes.